H1 antihistaminic having best topical activity is:
1. Loratidine
2. Cetrizine
3. Astemizole
4. Azelastine

Correct answer: 4. Azelastine

Explanation: Azelastine and olopatadine have maximum topical action and are therefore used for local conditions like allergic rhinitis and allergic conjunctivitis.